Anticholinergic used in all EXCEPT:
1. Uvietis
2. Fundus examination
3. OPC poisoning
4. Glaucoma

Correct answer: 4. Glaucoma

Explanation: ANSWER: (D) GlaucomaREF: khurana 4th ed p. 213"Anticholinergic are contraindicated in glaucoma"